Which of the following is the commonest site of fibroma?
1. Labia majora
2. Labia minora
3. Clitoris
4. Rudimentary hymen

Correct answer: 1. Labia majora

Explanation: Fibroma is a rare benign tumor of the vulva arises from deep connective tissues by fibroblast proliferation. Lesions are primarily found on the labia majora. Larger lesions often become pedunculated with a long stalk and may cause pain or dyspareunia. Surgical excision is indicated for symptomatic lesions. Ref: Hoffman B.L., Schorge J.O., Schaffer J.I., Halvorson L.M., Bradshaw K.D., Cunningham F.G., Calver L.E. (2012). Chapter 4. Benign Disorders of the Lower Reproductive Tract. In B.L. Hoffman, J.O. Schorge, J.I. Schaffer, L.M. Halvorson, K.D. Bradshaw, F.G. Cunningham, L.E. Calver (Eds), Williams Gynecology, 2e.